Which of the following drugs is not used in the management of PCOD
1. Clomiphene
2. Tamoxifen
3. Oral contraceptives
4. Metformin

Correct answer: 2. Tamoxifen

Explanation: Refer Surya gynae 6th/e p 470 Treatment of PCOD Weight loss if more than 5 percnt of previous weight is important Cigarette smoking should be avoided Estrogen in combination with progesterone Dexamethasone 0.5mg at bedtime also reduces androgen properties